Diaphragm develops from all except?
1. Septum transversum
2. Dorsal mesocardium
3. Pleuroperitoneal membrane
4. Cervical myotomes

Correct answer: 2. Dorsal mesocardium

Explanation: Development of diaphramDiaphragm develops from 4 structures derived from mesoderm which unite to form a sheet.Septum transversum :- Gives origin to sternal part and central tendinous region.Pleuroperitoneal membrane :- Dorsal paired portion.Dorsal mesentry of oesophagus :- Gives origin to crural part (Dorsal unpaired portion).Lateral body walls (from cervical myotome) :- Gives origin to peripheral costal portion of diaphragm.